Which of the following is not a side effect of clozapine -
1. Agranulocytosis
2. Seizure
3. Sialosis
4. Weight loss

Correct answer: 4. Weight loss

Explanation: Ans. is 'd' i.e., Weight loss Clozapine causes weight gain.